ICD chapter 21 includes all except
1. Alcohol
2. Tobacco
3. Injury
4. Drugs

Correct answer: 3. Injury

Explanation: ICD - 10 Chapter 12(factors influencing health status and contact with health) incudes: Problems related to lifestyle Alcohol Tobacco Drug use Lack of physical exercise inappropriate diet and eating habits High-risk sexual behavior Ref: 25th edition Park's Textbook of Preventive and Social Medicine, Page no. 57